False statement is
1. Repressor binds operator gene
2. Regulator genes produce repressor subunits
3. IP TG is inducer but not substrate
4. Regulator gene is inducible

Correct answer: 4. Regulator gene is inducible

Explanation: D i.e., Regulator gene is inducible